The following protein defects can cause hereditary spherocytosis except -
1. Ankyrin
2. Palladin
3. Glycophorin C
4. Anion transport protein

Correct answer: 3. Glycophorin C

Explanation: Hereditary spherocytosis occurs due to defect in : -


Ankyrin                  


Band 3 (Anion transport protein)


Spectrin           


Band 4.2


Note: Band 4.2 is also known as palladin.